Poor prognostic factor in a patient which acute pancreatitis:
1. Leucocytosis >20,000/mL
2. | serum amylase
3. |serum lipase
4. Diastolic BP >90 mm Hg

Correct answer: 1. Leucocytosis >20,000/mL

Explanation: Ans. (a). Leucocytosis >20,000/mRef: Sabiston 19/ep 1522RANSONS CRITERIA On admissionWithin 48 hrs * L- LDH >700u/l* A- AST >250 sigma frankel units %* G- Glucose >10mmol/l* A- Age>55 yrs* W-WBC Count >16000/mm3* B-Base deficit >4mmol/l* U- Blood Urea N2 >5mg%* C-Calcium <2.0mmol/l* H- Haematocrit fall >10%* O- Arterial O2 saturationPaO2 <60mmHg* W- Water sequestration >6l* Serum Amylase, Lipase is not included in Ranson's Score and not useful in severity assessment* WBC count >16000/mm3 has bad prognosis